Isolation is required to break the transmission of all the following diseases, except:
1. Swine flue
2. Tetanus
3. Mumps
4. Measles

Correct answer: 2. Tetanus

Explanation: Tetanus is not transmitted from person to person. Its spores or bacteria enters the body through abrasions, wounds or umbilical stump. In presence of an anaerobic environment, it grows and relaeses the toxin and cause the disease. Mumps, measles and swine flu are spread through respiratory droplets and require isolation to prevent transmission.